All are principles of primary health care except?
1. Intersectoral coordination
2. Community participation
3. Appropriate technology
4. Decentralised approach

Correct answer: 4. Decentralised approach

Explanation: orT There are 4 martin principles of primary health care : 1) Equitable distribution 2)Community participation 3)Intersectorial coordination 4) A ppro priate technology Ref: Park 24th edition